Which is not a feature of posterior urethral valve -
1. Palpable bladder
2. Painful stress incontinence
3. Recurrent UTI
4. Hydronephrosis

Correct answer: 2. Painful stress incontinence

Explanation: Ans. is 'b' i.e., Painful stress incontinence o Back pressure in posterior urethral valve causes hydronephrosis and distended bladder. o There is thin urinary stream and urinary stasis causes recurrent UTI.